Which one of the following alkaloids is used as anti–cancer agent ?
1. Vincristine
2. Papaverine
3. Ephedrine
4. Atropine

Correct answer: 1. Vincristine